Vibrio parahemolyticus food poisoning is caused by ingestion of -
1. Eggs and Poultry products
2. Raw vegetable
3. Catfish, shellfish, seafood
4. Milk products

Correct answer: 3. Catfish, shellfish, seafood

Explanation: Ans. is 'c' i.e., Cat fish, Shell fish, seafood . You know that v. parahemolyticus is a halophilic vibria --> so, most likely food responsible for its poisoning will be sea food. V. parahemolyticus . It is a halophilic vibrio. . Inhabits the coastal sea, where it is found in fishes ahopods such as shrimps and crabs and molluscs such as oyster. . It resembles the cholera vibrio except that: - It is capsulated - Shows bipolar staining - Produces peritrichous flagella when grown on solid medium (V. cholerae has polar flagella), in liquid medium polar flagella are formed. - It grows, only in media containing NaCl, optimum conc. is 2-4% . Its enteropathogenicity is closely linked to its ability to cause hemolysis on Wagatsuma agar --* the Kanagawa phenomenon. . V. parahemolyticus causes common source outbreaks of diarrhea after consumption of undercooked or improperly handled seafood or of other food contaminated by sea water. . It can result in two distinct gastrointestinal presentation.